A 36-yr-old female who is a chronic alcoholic feels that she can hear voices commanding her to do a thing and has difficulty in falling sleep. Diagnosis is
1. Delirium tremens
2. Depression
3. Alcoholic hallucinosis
4. Wernicke's encephalopathy

Correct answer: 3. Alcoholic hallucinosis